Which of the following drug do not have anti-inflammatory effect?
1. Ibuprofen
2. Paracetamol
3. Diclofenac
4. Aspirin

Correct answer: 2. Paracetamol

Explanation: Ans. B. ParacetamolIbuprofen is propionic acid derivative which are used in pediatric patients for PDA. Paracetamol do not possess anti-inflammatory properties as they are not active in presence of peroxides which are produced at site of inflammation. Both aspirin and diclofenac have anti-inflammatory properties.